Pneumothorax is seen in all, except?
1. Marfan syndrome
2. Assisted ventilation
3. Eosinophilic granuloma
4. Bronchopulmonary Aspergillosis

Correct answer: 4. Bronchopulmonary Aspergillosis

Explanation: Answer is D (Bronchopulmonary Aspergillosis) Bronehoptilmoi.artry Aspergillosis has not been mentioned as a cause for pneumothorax. Artificial ventilation is an established cause for iatrogenic pneumothorax while Marfan's syndrome and Eosinophilic granuloma are established causes for secondary spontaneous pneumothorax.